Which is not a major criteria of jones in Rheumatic fever ?
1. Pancarditis
2. Arthritis
3. Chorea
4. Elevated ESR

Correct answer: 4. Elevated ESR

Explanation: Major criteria of Jones in RHD are card it is,arthritis, chorea,subcutaneous nodules ,erythema marginatum. Ref : Ghai essential of pediatrics, eighth edition p.no:435